A patient has hepatic encephalopathy, the drug used for gut sterilization in this patient is -
1. Neomycin
2. Netilmycin
3. Bleomycin
4. None of the above

Correct answer: 1. Neomycin

Explanation: Ans. is 'a' i.e., Neomycin o Normally NH, is produced by colonic bacteria. This is absorbed and converted to urea by liver. In severe hepatic failure, detoxication of NH3 does not occur, blood NH3 level rise and produce encephalopathy. Neomycin, by suppressing intestinal flora, diminishes NH3 production and lowers its blood level; clinical improvement is seen within 2-3 days. o Because of toxic potential of neomycin, lactulose is preferred.